The gaps between segments of DNA on the lagging strand produced by restricting enzymes are rejoined/sealed by:
1. DNA Ligases
2. DNA Helicase
3. DNA Topoisomerase
4. DNA phosphorylase

Correct answer: 1. DNA Ligases

Explanation: Ans. A. DNA LigasesThe fragments of newly synthesized DNA on the lagging strand are joined/sealed by DNA ligasesEnzymePrimary FunctionHelicaseUnwinds the DNA to provide single stranded DNATopoisomeraseRelieves torsional strain that results from helicase induced unwindingDNA primaseInitiates synthesis of RNA primersDNA polymerasePolymerizes dex nucleotides (Polymerizes DNA) Polymerase I: Gap filling & synthesis of lagging strandPolymerase II: DNA proof reading and repairPolymerase III: Processive leading strand synthesis (5 - 3 direction)DNA ligaseSeals the nicks between okazaki fragments on lagging strand.